Branching enzyme is found in -
1. Glycogenesis
2. Glucogenesis
3. Glycogenolysis
4. Glycolysis

Correct answer: 1. Glycogenesis

Explanation: Ans. is 'a' i.e., Glycogenesis o Enzymes involved in glycogen metabolism are :-GlycogenesisGlycogen synthase-a (active)ZGlycogen synthase - b (inactive)Branching enzyme (amylo-1,4 - 1,6 transgiucosidase)GlycogenolysisGlycogen phosphorylase-a (activej/Glycogen phosphorylase-b (inactive)Giucan transferase (oligo a-1,4 - a-1,4 glucan transferase)Debranching enzyme (amylo-1,6 glucosidase)